Cystine is formed by
1. Hydroxylation of cysteine molecule
2. Carboxylation of cysteine molecule
3. Peptide bond between two cysteine molecule
4. Disulfide bond between cysteine molecule

Correct answer: 4. Disulfide bond between cysteine molecule

Explanation: The difference in structure of cysteine and cystine. Two molecules of cysteine are joined together by S--S bond to form one molecule of cystine. Ref: M.N. Chatterjea - Textbook of Biochemistry, 8th edition, page no: 504